Abduction of Hand is caused by:-
1. Flexor carpi radialis
2. Flexor carpi ulnaris
3. Flexor digitorum profundus
4. Flexor digitorum superficialis

Correct answer: 1. Flexor carpi radialis

Explanation: Abduction of the hand occurs at the wrist joint, carried out by the muscles like Flexor carpi radialis. Flexor carpi ulnaris works for adduction of hand at wrist joint along with ulnar deviation. Flexor digitorum profundus flexes DIP joint, PIP joint, MP joint of fingers Flexor digitorum superficialis flexes PIP joint, MP joint of fingers and wrist.